In the heart, which muscarinic receptor inhibits adenyl cyclase activity?
1. M1
2. M2
3. M3
4. M4

Correct answer: 2. M2

Explanation: M2 receptors are located in the heart.Ref: HL Sharma 3rd ed Pg: 119